4 month Infant with cough, respiratory rate > 60/min, with no retraction, management (According to IMNCI protocol) ?
1. IM antibiotic & refer urgently
2. Oral antibiotic, explain danger sign & follow up
3. Explain danger sign & follow up
4. IM antibiotic & hospitalise

Correct answer: 2. Oral antibiotic, explain danger sign & follow up

Explanation: Ans. is 'b' i.e., Oral antibiotic & explain danger sign & follow up